Immunisation for HBV is which level of prevention
1. Primordial
2. Primary
3. Secondary
4. Tertiary

Correct answer: 2. Primary

Explanation: Specific protection for HBV, comes under primary prevention.